According to WHO classification of ovarian tumours, Brenner tumor of ovary belongs to:
1. Epithelial tumours
2. Sex cord stromal tumours
3. Germ cell tumours
4. Metastatic tumours

Correct answer: 1. Epithelial tumours

Explanation: Cancer or Ovary